Insulin secretion is normally stimulated by ?
1. GLP-1
2. GLP-2
3. VIP
4. a-adrenergic receptors

Correct answer: 1. GLP-1

Explanation: Ans. is 'a' i.e., GLP-1Recently, attention has been focused on glucagon - like polypeptide 1 (7-36) (GLP-1 ) as an additional gut factor for insulin secretion and GLP-1 (7-36) is more potent insulinotropic hormone.Regulation of insulin secretion Factors affecting insulin secretion are : -i) Simulating insulin secretion :- Glucose; Mannose; Amino acids (arginine, leucine); Intestinal hormones (GIP. Gastrin, Secretin, CCK, GLP -1); b-keto acids; Parasympethetic stimulation (acetylcholine); cAMP; b-adrenergic stimulation; theophylline; Sulfonylureas; and certain endocrine hormones like growth hormone, Glucagon and glucocorticoids.ii) Inhibiting insulin secretion : - Somatostatin; 2-deoxyglucose; mannoheptulose; a-adrenergic stimulation, P-adrenergic inhibitors; galanin; Diazoxide; Thiazide diuretics; K+ depletion; Phenytoin; Alloxan; microtubule inhibitors; and insulin itself.